Of the following which one correlates with isovolumic contraction phase
1. AV opening and aortic and pulmonary valve closure
2. AV closure and aortic & pulmonary valve opening
3. Both valves are closed
4. Both valves are open

Correct answer: 3. Both valves are closed

Explanation: ‘Isovolumetric’ means the volume remains same. That occurs only when both the valves are closed.